Initial drug of choice in a child with status epilepticus –
1. Lorazepam
2. Phenobarbitone
3. Valproate
4. Phenytoin

Correct answer: 1. Lorazepam

Explanation: Drug used are → Lorazepam, Clonazepam, Diazepam, Phenytoin, Phenobarbitone, Thiopentol, Propofol, Midazolam.
Lorazepann i.v. is now the preferred initial choice.